Adequate interocclusal rest space required for the comfort of the patient and health of the tissue is
1. 1-8mm
2. 4-6mm
3. 5-8mm
4. 2-4mm

Correct answer: 4. 2-4mm